Abbe estlandec flap is used for
1. Lip
2. Nose
3. Ears
4. Eyelid

Correct answer: 1. Lip

Explanation: .abbe flap is used for lip reconstruction surgeries